On barium swallow posterior indentation is seen due to:
1. Left atrium
2. Aortic knuckle
3. Aberrant right subclavian
4. Sling of pulmonary artery

Correct answer: 3. Aberrant right subclavian

Explanation: Ans. Aberrant right subclavian